All of the following are seen in atropine poisoning Except
1. Mydriasis
2. Hallucination
3. Hypothermia
4. Coma

Correct answer: 3. Hypothermia

Explanation: Ref: HL Sharma 3rd ed pg no:156 Atropine produces hyperthermia - increase in body temperature due to inhibition of sweating in children below 5 years, atropine can produce atropine fever